A patient is having a malignancy and has been suffering from severe pain. Which of the following opioid analgesics can be used as a transdermal patch for the alleviation of pain in him?
1. Morphine
2. Pentazocine
3. Fentanyl
4. Tramadol

Correct answer: 3. Fentanyl